The normal capacity of the gallbladder is:
1. 100 ml of bile
2. 10 ml of bile
3. 30 ml of bile
4. 250 ml of bile

Correct answer: 3. 30 ml of bile

Explanation: The normal capacity of the gallbladder is 30 mL of bile. Reference: Harrisons Principles of Internal Medicine, 18th Edition, Page 2616